Azathioprine is used as
1. Immunosuppressant
2. Antigout drug
3. Anti-retro virus
4. Anti- cancer

Correct answer: 1. Immunosuppressant

Explanation: CompoundUseNucleoside analogueBromodeoxyuridineaStudy cell proliferationThymidine analogueAllopurinalAnti gout drugHypoxanthine analogueAzathiopineImmunosuppressantPurine analogue